All of the following form radio–opaque stones except –
1. Calcium dihydrate
2. Cysteine
3. Struvite
4. Uric acid

Correct answer: 4. Uric acid

Explanation: Cystine stones are radio-opaque.